Which group of streptococcus grow at > 60degC
1. A
2. B
3. C
4. D

Correct answer: 4. D

Explanation: Ans. is 'd' i.e., D Among streptococci, enterococcus (group D streptococcus) is heat resistant.